Paramesonephric duct develop into
1. Vas deferens
2. Seminal vesicle
3. Ureter
4. Uterus

Correct answer: 4. Uterus